Pain and temperature are carried by
1. Anterior spinothalamic tract
2. Lateral spinothalamic tract
3. Dorsal column
4. None

Correct answer: 2. Lateral spinothalamic tract

Explanation: The lateral spinothalamic tract is located in the lateral funiculus towards the medial side, i.e.e near the grey matter. The spinothalamic tracts are formed by the axons of the chief sensory cells of posterior grey horn, which form the second order sensory neurons. After taking origin from the chief sensory cells, the fibres of lateral spinothalamic tract cross within the same segment of spinal cord and reach the lateral column of the same segment. All spinothalamic fibres running in the spinal lemniscus terminate in the ventral posterolateral nucleus of thalamus. The neurons of this thalamic nucleus form the third order neurons of this sensory pathway and relay the impulses to the somesthetic area of the cerebral cortex. The lateral tracts carry sensations of pain and temperatures. Guyton and hall textbook of medical physiology 12 edition page number:691,692,693